A 75 year old woman complains to a physician of facial pain, headache, and intermittent visual symptoms. Both temporal arteries are biopsied. If the biopsies show abnormal vessels, which of the following would be the most likely pathological finding?
1. Atherosclerotic plaque
2. Fibrinoid necrosis
3. Focal granulomatous inflammation
4. Fungal hyphae

Correct answer: 3. Focal granulomatous inflammation

Explanation: The suspected disease is temporal arteritis, also known as giant cell arteritis, because of the focal granulomatous inflammation (with giant cells) that characterizes the process. The cranial arteries (branches of the carotid system) are most often involved. Vigorous attempts at diagnosis, which may require biopsying 2-cm lengths of each temporal artery, are indicated because the process can be patchy. Correct diagnosis is essential because untreated temporal arteritis can involve the ophthalmic artery, leading to irreversible blindness. Atherosclerosis is almost never seen in the distal (lower blood pressure) part of the temporal artery. Fibrinoid necrosis is a feature of polyarteritis nodosa, not temporal arteritis. Fungal hyphae would suggest a fungal infection rather than temporal arteritis. Ref: Suurmond D. (2009). Section 14. The Skin in Immune, Autoimmune, and Rheumatic Disorders. In D. Suurmond (Ed), Fitzpatrick's Color Atlas & Synopsis of Clinical Dermatology, 6e.